Positive mortality indicator is -
1. IMR
2. Child mortality rate
3. MMR
4. Life expectancy

Correct answer: 4. Life expectancy

Explanation: Mortality indicators
These are

Crude death rate
Expectation of life (life expectancy)
Infant mortality rate
Child mortality rate
Under-5 proportional mortality rate
Maternal mortality rate
Disease specific mortality rate
Age specific death rate
Adult mortality rate
Years of potential life lost


Among these only life expectancy is a posive mortality indicator, i.e. increase life expectancy means improvement in health.
All other are ‘negave’ health indicators, i.e. increase value of these indicators implies poor health of community.